An 80 kg patient brought to casualty in shock. Dopamine needs to be started at 10 μg/ kg / min. A 5 ml vial contains 200mg of dopamine. Two vials are diluted to solution of 250ml with the help of normal saline. Calculate drops per minute required to be administered if 1 ml = 16 drops
1. 8
2. 16
3. 24
4. 32

Correct answer: 1. 8

Explanation: 5 ml vial : 200 mg 2 vials : 400 mg
2 vials in a solution of 250 ml
→ Each ml contains : 400mg /250ml = 1.6mg
16 drops: 16 mg 1drop: 0.1 mg.
Dose of dopamine need to be started: 10 μg / kg / min
Dose of dopamine for 80 kg: 800 μg / min
Dose of dopamine for 80 kg: 0.8 mg / min
(1drop : 0.1 mg)
Drops required per minute : 8 drops.